An enzyme involved in the catabolism of fructose to pyruvate in the liver is:
1. Glyceraldehyde-3-phosphate Dehydrogenase
2. Phosphoglucomutase
3. Lacta te-dehydrogena se
4. Glucokinase

Correct answer: 1. Glyceraldehyde-3-phosphate Dehydrogenase

Explanation: A i.e. Glyceraldehyde- 3- phosphate dehydrogenase